A 50 year old man presented with orbital mass. Systemic examination revealed anaemia and investigations revealed hypergammaglobulinemia. The patient should be investigated to rule out: -
1. Squamous cell carcinoma
2. Optic nerve glioma
3. Multiple myeloma
4. Malignant melanoma

Correct answer: 3. Multiple myeloma